Most common type of optic nerve glioma is
1. Protoplasmic
2. Pilocytic
3. Gemistocytic
4. Fibrous

Correct answer: 2. Pilocytic

Explanation: Pilocytic means that the tumor cells are hair like. pilocytic astrocytoma is the most common type Refer khurana 6/e 410